Alpha-1- antitrypsin deficiency presents as?
1. Emphysema
2. Bronchitectasis
3. Empyema
4. Bronchogenic carcinoma

Correct answer: 1. Emphysema

Explanation: Ans. (a) EmphysemaRef: Robbins 8thEdn /684y 685, Harrison 18,hed chapter 309, Nelson Textbook of Pediatrics, 18th ed chapter 390